In staphylococci, plasmids encoding beta lactamase are transmitted by
1. Conjugation
2. Transduction
3. Transposon
4. Transformation

Correct answer: 2. Transduction

Explanation: Ref Goodman Gilman 11/e p 1133 Beta lactamase are encoded by plasmids that can be transferred with the help of bacteriophage in staphylococci and by transformation in pneumococci